NOT a feature of post-traumatic stress disorder:
1. Hyperarousal
2. Emotional numbing
3. Flashbacks
4. Hallucinations

Correct answer: 4. Hallucinations

Explanation: Ans. Hallucinations